The tumour, which may occur in the residual breast; or overlying skin following wide local excision and radiotherapy for mammary carcinoma is:
1. Leiomyosarcoma
2. Squamous cell carcinoma
3. Basal cell carcinoma
4. Angiosarcoma

Correct answer: 4. Angiosarcoma

Explanation: Ans. (d) Angiosarcoma(Ref: Sabiston 19/e p845)* Post mastectomy and adjuvant RT results in Lymphedema of Arms.* This lymphedema of upper limb may get converted to lymphangiosarcoma-known as Stewart Treves Syndrome* Treatment - Forequarter amputation.* Has very bad prognosis.